What is the enzymatic defect which causes Hunter's Disease?
1. a) L- Iduronidase
2. b) Iduronate sulphatase
3. c) Beta Galactosidase
4. d) All of the above

Correct answer: 2. b) Iduronate sulphatase

Explanation: Explanation- Inheritence- X-linked Recessive Defective enzyme- Iduronate Sulphatase Clinical Features- slower progression of somatic and central nervous system (CNS) deterioration large tongue prominent forehead joint stiffness short stature skeletal dysplasia obstructive airways Valvular heart disease Intellectual disability